Cyclophosphamide is?
1. Alkylating agent
2. Antitumor antibiotic
3. Monoclonal antibody
4. Antimetabolites

Correct answer: 1. Alkylating agent

Explanation: ANSWER: (A) Alkylating agentREF: Harrison's 17th edition chapter 8, KDT, Goodman GillmanSee APPENDIX-37 for "CLASSIFICATION OF CANCER CHEMOTHERAPY AGENTS"